Walter Reed is associated with which disease?
1. Typhoid
2. Plague
3. Yellow Fever
4. Malaria

Correct answer: 3. Yellow Fever

Explanation: Major Walter Reed was an U.S. Army physician led the team in 1900 that postulated and confirmed the theory that yellow fever is transmitted by Aedes mosquito species. Ref: Park, 21st Edition, Page 6.